Fetal scalp blood Ph is used to determine :
1. IUGR
2. Fetal hypoxia
3. Fetal diabetes
4. Estimation of alpha feto protein

Correct answer: 2. Fetal hypoxia

Explanation: Fetal hypoxia